Which one of the following insecticides is not used as a larvicide?
1. Abate
2. Paris green
3. Fenthion
4. Dichloros

Correct answer: 4. Dichloros

Explanation: Larvicides are Mineral oils, Paris Green and synthetic insecticides such as Abate, Malathion, Fenthion, and chlorpyrifos. These organophosphorus compounds hydrolyze quickly in water. Paris green is a stomach poison used as chemical control against mosquito larva. To be effective it must be ingested by the larva. Paris green kill surface feeding larva easily. Bottom feeding larvae are killed when applied as special granular formation. Park's Textbook of Preventive and Social Medicine, 25th Edition, Pg 832